Which of the following antifungal drug can be used in the treatment of cushing syndrome?
1. Ketoconazole
2. Fluconazole
3. Itraconazole
4. Miconazole

Correct answer: 1. Ketoconazole

Explanation: cushings syndrome occurs due to high levels of steroids ketoconozole is one the steroid synthesis inhibitor High doses of ketoconazole is used in Cushing's syndrome to decrease corticosteroid production. (REF.Essential of medical pharmacology K D TRIPATHI 6 Edition, Page No 763)